The most frequent tooth to be impacted is:
1. Lower third molar
2. Lower canine
3. Upper third molar
4. Upper premolar

Correct answer: 1. Lower third molar

Explanation: Ans. (a) Lower third molar* Impacted tooth: MC in Lower 3rd Molar > upper 3rd Molar> Upper canine* Impacted tooth can produce referred pain via the direct impingement of Auriculotemporal nerve.